In alopecia areata, seen is:
1. Exclamatory mark hair
2. Scaring
3. Fungal infection
4. Traumatic

Correct answer: 1. Exclamatory mark hair

Explanation: A i.e. Exclamatory markStumps in alopecia areata form exclamation mark(2 (constriction) just above the skin surface. Exclamation mark hair is pathognomic of alopecia areataQ.